Green coloured i.v. cannula, the size is
1. 18
2. 20
3. 22
4. 24

Correct answer: 1. 18

Explanation: Answer- A. 18Green- 18Pink- 20Blue- 22Yellow/lime- 24